A 40 years old female patient presented with recurrent headaches. MRI showed an extra-axial, dural-based and enhancing lesion. The most likely diagnosis is
1. Meningioma
2. Glioma
3. Schwannoma
4. Pituitary adenoma

Correct answer: 1. Meningioma